Sclerosing cholangitis Is most likely seen in?
1. Ulcerative colitis
2. Hemochromatosis
3. Wilson disease
4. Primary biliary cirrhosis

Correct answer: 1. Ulcerative colitis

Explanation: Ans. A. Ulcerative colitisExtra colonic manifestations of UC:-a. Constitutional symptoms- fever, weight loss.b. Arthritis (Sacroiliitis)c. Anterior uveitisd. Ankylosing spondylitis.e. Erythema nodosumf. Sclerosing cholangitis.g. Thromboembolic events.h. Cholestasisi. Pyoderma ganginosum